Negative symptom of Schizophrenia includes\
1. Anhedonia
2. Hallucination
3. Illusion
4. Depression

Correct answer: 1. Anhedonia

Explanation: (A) Anhedonia # Prominent Negative symptoms of Schizophrenia include: 6 "A"s Affective Attuning or blunting, Attentional impairment, Avolition-Apathy (lack of initiative associated with psychomotor slowing), Anhedonia, Asociality (social withdrawal), and Alogia (lack of speech output).> There is poor verbal as well as non-verbal communication with poor facial expression, decreased eye contact, with usually poor self-care and social interaction.